Which of the following ventilation mode reduces work of breathing by overcoming resistance created by ventilator tubing
1. Controlled mandatory ventilation
2. Synchronised intermittent mandatory breath
3. Assist control mode
4. Pressure support mode

Correct answer: 4. Pressure support mode

Explanation: For the spontaneously breathing patient, pressure support ventilation (PSV) has been advocated to limit barotrauma and to decrease the work of breathing. Airway pressure support is maintained until the patient's inspiratory flow falls below a certain cutoff. PSV is frequently the mode of choice in patients whose respiratory failure is not severe and who have an adequate respiratory drive.